Most common carcinoma in female worldwide
1. Breast
2. Cervix
3. Lung
4. Uterus

Correct answer: 1. Breast

Explanation: Global cancer incidence in women Breast cancer was the most common cancer in women worldwide, contributing 25.4% of the total number of new cases diagnosed in 2018. The top three - breast, colorectal and lung cancers - contributed 43.9% of all cancers (excluding non-melanoma skin cancer). Cervical cancer was the fourth most common cancer in women, contributing 6.9% of the total number of new cases diagnosed in 2018. Ref: src=" alt="" width="200" height="314" />